Which among the following country is a 'Rabies free country'?
1. USA
2. Russia
3. Australia
4. France

Correct answer: 3. Australia

Explanation: A "Rabies-free" area has been defined as one in which no case of indigenously acquired rabies has occurred in man or any animal species for 2 years. Australia, China (Taiwan), Cyprus, Iceland, Ireland, Japan, Malta, New Zealand, the U.K. and the islands of Western Pacific are all free of the disease. The Liberian Peninsula and Finland, Norway and Sweden are also rabies free. In India, Union Territory of Lakshadweep and Andaman and Nicobar islands are free of the disease. Ref: Textbook of Preventive and Social Medicine by K Park, 19th edition, Page 226.